Meconium ileus is firstly treated by ?
1. paul mikulicz ileostomy
2. bishop ileostomy
3. contrast enema
4. barium enema

Correct answer: 3. contrast enema

Explanation: water soluble contrast enema releives obstruction in 75% of cases OPERATIVE INTERVENTION -paul mikulicz double barrel ileostomy koops distal chimney ileostomy santullis proximal chimney ileostomy